The treatment of acute alcohol intoxication is based on which of the following.
1. Severity of respiratory and CNS depression
2. Age and sex of the patient
3. Medical fitness of the patient
4. Amount of breath odour

Correct answer: 1. Severity of respiratory and CNS depression

Explanation: Ans. (a) Severity of respiratory and CNS depressionRef.: Harrison 19th ed. 12727Acute Alcohol intoxication: After a brief period excitation, there is a generalized central nervous system depression with alcohol use. With increasing intoxication, there is increased reaction time, slowed thinking, distractibility and poor motor control. Later, dysarthria, ataxia and incoordination can occur. There is progressive loss of self control with frank disinhibited behavior.The duration of intoxication depends on the amount and the rapidity of ingestion of alcohol. Usually the signs of intoxication are obvious with blood levels of 150-200 mg %. With blood alcohol levels of 300- 450 mg % increasing drowsiness followed by coma and respiratory depression develop.